Citellis angle is:
1. Sold angle
2. CP angle
3. Sinodural angle
4. Part of MC Evans triangle

Correct answer: 3. Sinodural angle

Explanation: Sinodural (Citelli's) angle, is the landmark for the superior petrosal sinus. Its is used to identify it while doing surgeries on this area. It is named after Salvatore Citelli, Italian laryngologist, 1875-1947. The other named terms after him are: Citelli's Abcess: You can find about it in any standard text book for ENT like Dhingra. Citelli's Syndrome: mental dullness, loss of power of concentration, and drowsiness or insomnia, seen in persons with adenoids or sinus infection. Citelli's angle or sinodural angle is the angle between the sinus plate and the dural plate. This angle is acute in primary sclerosis but obtuse in secondary sclerosis i.e. Chronic Suppurative Otitis Media (CSOM)."